Pain sensation from the lateral extremities is transmitted by:
1. Spino thalamic tract
2. Dorsal column
3. Corticospinal tract
4. Spinocerebellar tract

Correct answer: 1. Spino thalamic tract